In synthesis of fatty acids energy is supplied by:
1. NAD
2. FAD
3. GTP
4. NADPH

Correct answer: 4. NADPH

Explanation: D i.e. NADPH